First set of milk teeth appear at what age?
1. 3 months
2. 6 months
3. 9 months
4. 12 months

Correct answer: 2. 6 months

Explanation: ANSWER: (B) 6 monthsREF: Nelson Textbook of Paediatrics 17th edition page 18 & 37'Most babies have their first primary (milk) teeth erupt at age 6 month of age and first secondary teeth erupt at age 6 years"Chronology of Human Dentition of Primary or Deciduous and Secondary or Permanenet Teeth CalcificationAge at EruptionAge at sheddingBegins atComplete atMaxillaryMandibularMaxillaryMandibularPrimary Teeth Central incisors5th fetal mo18-24 mo6-8 mo5-7 mo7-8 yr6-7 yrLateral incisors5th fetal mo18-24 mo8-11 mo7-10 mo8-9 yr7-8 yrCuspids (canines)6th fetal mo30-36 mo16-20 mo16-20 mo11-12 yr9-11 yrFirst molars5th fetal mo24-30 mo10-16 mo10-16 mo10-16 yr10-12 yrSecond molars6th fetal mo36 mo20-30 mo20-30 mo10-12 yr11-13 yrSecondary Teeth Central incisors3-4 mo9-10 yr7-8 yr9-11 yr Lateral incisorsMax. 10-12 mo Mand, 3-4 mo10-11 yr8-9 yr7-8 yr Cuspids (canines)4-5 mo12-15 yr11-12 yr9-11 yr First premolars (bicuspids)18-21 mo12-13 yr10-11 yr10-12 yr Second premolars (bisuspids)24-30 mo12-14 yr10-12 yr11-13 yr First molarsBirth9-10 yr6-7 yr6-7 yr Second molars30-36 yr14-16 yr12-13 yr12-13 yr Third molarsMax, 7-9 yr18-25 yr17-22 yr17-22 yr Mand. 8-10 yr Max = maxillary; Mand = mandibular.